Most common type of astigmatism in keratoconus is
1. Simple myopia
2. Simple hypermetropia
3. Irregular astigmatism
4. Regular astigmatism

Correct answer: 3. Irregular astigmatism

Explanation: Keratoconus usually have irregular astigmatism * B/L Non inflammatory ectatic condition of cornea Clinical Presentation * Young females with constantly changing power of glasses with myopia & high cylinder and irregular astigmatism SIGNS IN KERATOCONUS Munson sign Enlarged corneal nerves Oil droplet reflex( on DDO) Rizutti sign Hydrops Fleischer ring